Graves disease is an example of which type ...... immunologic response-
1. Type I
2. Type II
3. Type III
4. Type IV

Correct answer: 2. Type II

Explanation: Ans. is 'b' i.e., Type II . Type II hypersensitivity may involve three different antibody -dependent mechanisms. I. Opsonization --> Complement and Fc receptor mediated phagocytosis. Transfusion reactions Autoimmune hemolytic anemia/agranulocytosis/ thrombocytopenia. Erythroblastosis fetalis. 2. Complement and Fc - receptor mediated inflammation Glomerulonephritis Vascular rejection 3. Antibody mediated cellular dysfunction Upregulation --> Graves disease Down regulation ______ > Myasthenia gravis Sometimes, antibody causes stimulation instead of damage for example in Grave's disease long acting thyroid stimulator (LATS), an antibody against some determinant on thyroid cells, stimulates excessive secretion of thyroid hormone. Such antibody mediated cell stimulation has also been called type V hypersensitivity.